Molybdenum is present in which enzyme ?
1. Cytochrome oxidase
2. Xanthine oxidase
3. Glutathione peroxidase
4. Urease

Correct answer: 2. Xanthine oxidase

Explanation: Ans:B.)Xanthine Oxidase.Molybdenum containing enzymes include: xanthine oxidase and closely related enzymes (the molybdenum-containing hydroxylases), sulphite oxidase and nitrate reductase.